Least malignant melanoma is
1. Lentigo maligna
2. Superifcial spreading
3. Nodular
4. Amelanotic

Correct answer: 1. Lentigo maligna